How is the protein Energy Ratio (PER) in diet expressed as –
1. Energy in diet/Protein in diet x 100
2. Protein energy in diet/Total energy in diet  x 100
3. Total protein in diet/Total energy in diet x 100
4. None of the above

Correct answer: 2. Protein energy in diet/Total energy in diet  x 100

Explanation: Protein energy ratio (Protein energy percentage) 

It is a quantitative measure for assessment of protein.
It measures the percentage of energy that is provided by the protein in the food.

PE percent = Energy from protein / Total energy in diet x 100

If the PE ratio is less than 4%, the subject will be unable to eat enough to satisfy protein requirements.
It is recommended that protein should account for approximately 15 to 20% of the total daily energy intake.